A schizophrenic patient has no interest in social contacts or vocational rehabilitation. His affect is flat, and he speaks very little and spends most of his day sitting in front of the TV, unwashed and unshaven. He has some chronic, delusions of persecution, but these do not impact his functioning as much as the previous symptom. Which of the following anti psychotics. Would-tie most appropriate to use in treating this patient?
1. Molindone
2. Haloperidol decanoate
3. Chlorpromazine
4. Olanzapine

Correct answer: 4. Olanzapine

Explanation: The schizophrenic patient in the question manifests a prevalence of negative symptoms (flat affect, abulia, lack of motivation). Two antipsychotic medications have been proved to be effective for negative symptoms: clozapine and olanzapine. However, due to clozapine's high risk for agranulocytosis, its use is limited to refractory cases of schizophrenia, severe tardive dyskinesia, and psychotic symptoms in patients with Parkinson's disease.